All are true about uteroplacental circulation except
1. Blood in the intervillous space is completely replaced 3 - 4 times per minute
2. The villi depend on the maternal blood for their nutrition
3. A mature placenta has 150 ml of blood in the villi system and 350 ml of blood in the intervillous space
4. Intervillous blood flow at term is 500 - 600 ml per minute

Correct answer: 3. A mature placenta has 150 ml of blood in the villi system and 350 ml of blood in the intervillous space

Explanation: A mature placenta has a volume of about 500 ml of blood; 350 ml being occupied in the villi system and 150 ml lying in the intervillous space. Intervillous blood flow at term is around 500 - 600 ml per minute. The blood in the intervilllous space is completely replaced 3-4times. Ref : Dutta book of obstetrics 8th Ed